Sir Alexander Fleming got Nobel Prix for
1. Insulin
2. CT scan
3. Pencillin
4. ECG

Correct answer: 3. Pencillin

Explanation: List of Nobel Laureates

Willem Einthoven : ECG.
Sir Alexander Fleming : Penicillin.
Paul. H. Muller : DDT.
Sir Godfrey N.Hounsfield : Human blood groups.
Karl Landsteiner : Human blood groups.
Paul Ehrlich : Immunity.
Sir Peter Mansfield : MRI.